Which of the following conditions are associated with osteoporosis?
1. Cushing's syndrome
2. Anorexia nervosa
3. Acromegaly
4. All the above

Correct answer: 4. All the above

Explanation: Cushing's syndrome, anorexia nervosa and acromegaly are all associated with osteoporosis. Other endocrine disorders associated with osteoprosis are hyperparathyroidism, thyrotoxicosis, type 1 diabetes and adrenal insufficiency.